Tegaserod is a
1. 5HT3 antagonist
2. D2 antagonist
3. 5HT4 agonist
4. NK1 antagonist

Correct answer: 3. 5HT4 agonist

Explanation: Cisapride, Mosapride, Prucalopride and Tegaserod are 5HT4 agonists used as prokinetics in constipation.
Tegaserod is withdrawn from market because of increased risk of myocardial infarction & stroke.